Which is the most common type of male breast cancer?
1. Infiltrating Ductal Carcinoma
2. lobular Carcinoma
3. Mucinous Carcinoma
4. Colloid Carcinoma

Correct answer: 1. Infiltrating Ductal Carcinoma

Explanation: Ans. is 'a' i.e., Infiltrating Ductal Carcinoma o All known histopathologic types of breast cancer have been described in men with infiltrating ductal carcinoma being most common (about 70%)Male breast cancero Breast cancer in men is a rare disease; less than 1% occurs in men.o The average age is about 60 yrs - older than the most common presenting age in womeno Gynecomastia is seen preceding or accompanying the breast cancer in about 20% of caseso The risk of male breast cancer is related to an increased lifelong exposure to estrogen (as with female breast cancer) or to reduced androgen. The strongest association is in men with Klinefelter's syndrome (XXY) who have a 14- to 50-fold increased risk of developing male breast cancer. Also, men who carry a BRC A1, or particularly a BRC A2 mutation, have an increased risk of developing breast cancero The following conditions have been reported to be associated with an increased risk of breast cancer in men:# Chronic liver disorders, such as cirrhosis, chronic alcoholism, schistosomiasis;# A history of mumps orchitis, undescended testes, or testicular injury; and# Feminization, genetically or by environmental exposure# Radiation exposureo All known histopathologic types of breast cancer have been described in men with infiltrating ductal carcinoma being most common (about 70%). o A majority of male breast cancers are ER/PR positive and the percentage positive is greater than for female breast cancer.o As for women, stage is the predominant prognostic indicator, and most studies report that stage for stage, men with breast cancer have the same outcome following treatment as women with breast cancer. Overall, men do worse because of the advanced stage of their cancer at the time of diagnosiso Treatment consists of modified radical mastectomy in operable patients. The use of postmastectomy radiation therapy follows the same guidelines as for female breast cancer. Similarly, the use of systemic therapy follows the same guidelines as for women with postmenopausal breast cancer. Tamoxifen is the mainstay for adjuvant systemic therapy in ER-positive male breast cancer. Metastatic breast cancer in men is treated identically to metastatic disease in women